Barr body is absent in female having _______
1. 46 XX genome
2. 45 XO Genome
3. 47 XXX
4. All of the above

Correct answer: 2. 45 XO Genome

Explanation: Barr body is absent in female having 45 XO genome. Barr body: Densely staining inactivated condensed X chromosome present in each somatic cell of a female is found in the nucleus. Chromatid body (Barr body or sex chromatin) is derived from one of the two X Chromosomes which became inactivated The number of Barr bodies is thus one less than the number of X chromosomes. Turner's syndrome is female without Barr body. Klinefelter's syndrome is male with Barr body. Ref: Concepts of genetics 11th edition Pgno: 208